Anti LKM antibodies are found in?
1. Inflammatory myopathies
2. SLE
3. Autoimmune hepatitis
4. CREST syndrome

Correct answer: 3. Autoimmune hepatitis

Explanation: Ans is 'c' i.e. Autoimmune hepatitis * Anti-Liver Kidney Microsomal Antibodies (Anti-LKM antibody) are detected in the serum of patients with different types of acute or chronic liver disease. These antibodies are targeted against cytochrome P450 antigens. There are three kinds of Anti- Liver Kidney Microsomal Antibodies.TypeAntigenDiseaseAnti LKM 1Cytochrome P450 2D6Autoimmune hepatitis type II and Chronic hepatitis CAnti LKM 2Cytochrome P450 2C9Drug induced hepatitisAnti LKM 3Cytochrome P450 1A2Chronic Hepatitis D, Chronic active hepatitis in association with Autoimmune Polyendocrine Syndrome type I